Tolvaptan is used for
1. Von Willebrand Disease
2. Catecholamine resistant Shock
3. Central DI
4. SIADH

Correct answer: 4. SIADH

Explanation: Tolvaptan:- * Tolvaptan is a selective Vasopressin V2 receptor antagonist indicated in treatment of euvolaemic or hypervolaemic hyponatremia (Na+ < 125mEq/L or clinically symptomatic hyponatraemia, in spite of fluid restrictive corrective measures), including patients with Syndrome of Inappropriate ADH Secretion and Heart Failure. * Bartter and Schwartz criteria defines SIADH as follows: Ref:- Goodman & Gilman's Pharmacological basis of Therapeutics 13th Ed; Pg Num:- 466